Percentage of scar dehiscence in lower uterine segment caesarean section is:
1. 0.1-2%
2. 2-5 %
3. 5-9%
4. More than 10%

Correct answer: 1. 0.1-2%

Explanation: Ans. A: 0.1-2% For women who had a prior cesarean birth the rupture can occur at the site of the previous uterine scar. The risk of uterine rupture is about 1.5% or less with the lower segment scar. It is estimated that between 4 and 9% of classical/ hysterotomy uterine scars are at risk for rupture.